Aggrecan is:
1. A receptor over platelets
2. A molecule present in osteoid tissue
3. Granules in leukocytes
4. Important component of cartilage

Correct answer: 4. Important component of cartilage

Explanation: Aggrecan is a proteoglycan, also known as cartilage-specific proteoglycan core protein (CSPCP) or chondroitin sulfate proteoglycan 1. It is encoded by the ACAN gene. Aggrecan is an integral part of the extracellular matrix (ECM) in cartilagenous tissue and it withstands compression in cartilage.